The HIV fusion inhibitor, enfuvirtide, acts at the site of:
1. Gp 120
2. Gp 41
3. P24
4. CXCR4

Correct answer: 2. Gp 41

Explanation: ENFUVIRTIDE: This HIV derived synthetic peptide acts by binding to HIV-1 envelope transmembrane glycoprotein(gp 41) which is involved in fusion of viral and cellular membranes. ESSENTIALS OF MEDICAL PHARMACOLOGY K.D.TRIPATHI SEVENTH EDITION PAGE NO:811